Renal calculi associated with proteus infection?
1. A.Uric acid
2. B.Triple phosphate
3. C.Calcium oxalate
4. D.Xanthine

Correct answer: 2. B.Triple phosphate

Explanation: Urease producing organisms eg :- proteus ,psuedomonas , and staphylococcus , break down urea to produce ammonia and CO2.The urine becomes alkaline which promotes formation of struvite calculi ( magnesium ammonium phosphate ) which grow to become staghorn calculi.E coli never forms struvite stones. Struvite occupying pelvi-calyceal system:- TYPES:1.Complete- occupancy of > 80%of pelvi- calyceal system. 2.Incomplete:- Occupancy of atleast 2 pelvicalyceal system. ref :- Bailey and Love 27th edition .chapter 72 . pg no 1406